The reaction inhibited in thiamine deficiency is
1. Pyruvate to acetyl CoA
2. Citrate to alpha ketoglutarate
3. Succinyl CoA to fumarate
4. None

Correct answer: 1. Pyruvate to acetyl CoA

Explanation: PDH requires thiamine as a cofactor to convert pyruvate into acetyl CoA.